Site where endolymph is seen -
1. Scala vestibuli
2. Scala media
3. Helicotrem
4. Organ of corti

Correct answer: 2. Scala media